A distinct advantage that tetracyclines have over penicillins is that tetracyclines:
1. Have no side effects
2. Do not cause superinfections
3. Are safer to use during pregnancy
4. Have a wider range of antibacterial activity

Correct answer: 4. Have a wider range of antibacterial activity